Serum amyloid associated protein is found in:
1. Alzheimer's disease
2. Chronic inflammatory states
3. Chronic renal failure
4. Malignant hypertension

Correct answer: 2. Chronic inflammatory states

Explanation: The AA (amyloid-associated) type of amyloid fibril protein is derived from a unique non-Ig protein made by the liver. A fibrils are derived by proteolysis from a larger precursor in the serum called SAA (serum amyloid-associated)protein. The production of SAA protein is increased in inflammatory states as part of the acute phase response Therefore, this form of amyloidosisis associated with chronic inflammation, and is often called secondary amyloidosis.